Method of Gutta purcha removal from canal for post preparation:
1. Chemical GP solvent
2. Thermal
3. Mechanical
4. All of the above.

Correct answer: 4. All of the above.

Explanation: chemical method is not recommended as no control on length of removal.
While thermal (heated plugger), mechanical ( peaso reamer) have equal efficiency.